In which of the following conditions, hyperbaric oxygen therapy is useful
1. Osteomyelitis
2. Osteoradionecrosis
3. Gas gangrene
4. All of the above

Correct answer: 4. All of the above